patient in the emergency department exhibits psychosis. Pharmacological intervention to decrease the psychosis would most likely involve:
1. Blockade of dopaminergic neurotransmission
2. Stimulation of dopaminergic neurotransmission
3. Blockade of nitrergic neurotransmission
4. Stimulation of nitrergic neurotransmission

Correct answer: 1. Blockade of dopaminergic neurotransmission

Explanation: Ans. A. Blockade of dopaminergic neurotransmissionDopamine plays a major role in two functional systems of the brain, the motor system and the limbic system. Within the limbic system, DA is associated with affect. Too much dopaminergic transmission can result in psychotic disorders, such as schizophrenia. A blockade of dopaminergic transmission ameliorates psychosis. Cholinergic transmission is involved in cognitive function and motor control. The role of nitrergic transmission in cognition and behavior is unknown.